The recommended clamp for class-V tooth preparation is
1. No.213
2. No.212
3. No.123
4. No.122

Correct answer: 2. No.212